Symptoms of ovarian hyperstimulation syndrome are all except
1. Ascites
2. Polyuria
3. Hemoconcentration
4. Thromboembolism

Correct answer: 2. Polyuria

Explanation: OHSS is characterized by Oliguria (not polyuria).